Which nerve does NOT supply gluteal region?
1. Superior gluteal nerve
2. Sciatic nerve
3. Nerve to quadrates femoris
4. Nerve to obturator internus

Correct answer: 2. Sciatic nerve

Explanation: Sciatic Nerve supplies back of thigh, the leg and foot region. It passes through the gluteal region, but doesn't supply the area.